Which Hormone is responsible for acne-
1. Estrogen
2. Thyroid
3. Testosterone
4. Gonadotropins

Correct answer: 3. Testosterone

Explanation: The androgenic stimulus of the sebaceous glands plays an important role in etiopathogenesis of acne. Sebum production and excretion are regulated by androgenic hormones and mediators like EGF and IGF-1. androgens that are most important for sebum production: 5 alpha - dihydrotestosterone 5 alpha androsteine dihydroepiandrosterone testosterone Reference Harrison20th edition pg 1207